Which of the following head and neck tumor has the worst prognosis? -
1. Adenoid cystic carcinoma
2. Acinic cell carcinoma
3. Cystadenolymphoma
4. Mucoepidermoid carcinoma

Correct answer: 1. Adenoid cystic carcinoma

Explanation: Adenoid Cystic Carcinoma (Cylindroma)This is a highly malignant tumor due to its typical infiltrativenature, especially along the nerve sheaths. Adenoidcystic carcinoma is histologically characterized by cribriformappearance i.e. the epithelial tumor cells of duct-lining andmyoepithelial cells are arranged in duct-like structures ormasses of cells, having typical fenestrations or cyst-likespaces and hence the name 'adenoid cystic'. HARSH MOHAN Textbook of pathology 6th edition pg no 537